A 25 year old man presented with diabetes for the past 1 year that is well controlled on oral hypoglycaemic agents. He also has a family history of diabetes in young. The diagnosis is:-
1. Type 1 Diabetes mellitus
2. Type 2 Diabetes mellitus
3. Maturity Onset Diabetes in Young (MODY)
4. Type A insulin resistance

Correct answer: 3. Maturity Onset Diabetes in Young (MODY)

Explanation: → Maturity Onset Diabetes in Young is well controlled on oral agents, while Type 1 DM requires Insulin for control. 
→ These occur before the age of 25 years and are characterised by impaired insulin secretion with no defect in insulin action. They are inherited in an autosomal dominant pattern. 

MODY 1 .chromosome 20.(Hepatocyte nuclear transcription factor 4 a) 
MODY 2 .chromosome 7.(Glucokinase) 
MODY 3 .Most common type chromosome 12.(HNF 1 a) 
MODY 4 .chromosome 13.(Insulin promoter factor 1) 
MODY 5 .chromosome 17.(HNF 1b) 
MODY 6.chromosome 2.(Neuro D1)